myocarditis is a side effect of
1. aripiprazole
2. clozapine
3. chlorpromazine
4. olanzapine

Correct answer: 2. clozapine

Explanation: CLOZAPINE * Importance * First SGA * TREATMENT FOR TREATMENT RESISTANT SCHIZOPHRENIA * TOC for TD * Anti suicidal * Psychosis in parkinsonian patients * Side effects * Agranulocytosis * Myocarditis * Seizure * Constipation * Weight gain * Metabolic syndrome Sialorrhea Ref. kaplon and sadock, synopsis of psychiatry, 11 th edition, pg no. 935